Porcelain jacket crowns are contraindicated in
1. Hypoplastic teeth
2. Excessive horizontal overlap
3. Decay is extensive but pulp is vital
4. Excessive vertical overlap with little horizontal overlap

Correct answer: 4. Excessive vertical overlap with little horizontal overlap